All of the following statements about third Heart sound (S3) are true, except:
1. Occurs due to rapid filling of the ventricles during atrial systole
2. Seen in in Constrictive Pericarditis
3. Seen in Atrial Septal Defect (ASD)
4. Seen in Ventricular Septal Defect (VSD)

Correct answer: 1. Occurs due to rapid filling of the ventricles during atrial systole

Explanation: Answer is A (Occurs due to rapid filling of the ventricles during atrial systole ) Third heart sound occurs at the end of early rapid filling phase of the ventricle but not at the time of atrial systole. The heart sound associated with ventricular filling during atrial systole is the fourth heart sound (S4) Fourth Heart sound occurs in association with an effective atrial contraction() (It is presumably caused by in-rush of blood into the ventricles when the atria contracts and hence it is also called the 'Atrial Heart Sound) Pathological Third Heart Sound (S3) may be associated with ASD and VSD `A pathological S3 is often present in large left to right shunts due to high flow across the mitral valve with VSD or patent ductus arteriosus and with high flow across the tricuspid valve with ASD. The presence of this sound in these conditions does not imply congestive heart failure, and such patients may maintain normal myocardial contractility for years after the S3 is detected'- 'Hurst: The Heart' 11th/271 Congenital Heart Diseases associated with Loud S3 Ventricular septal Defect (VSD)() Patent Ductus Arteriosus (PDA)Q Atrial Septal Defect (ASD)Q Pathological Third Heart Sound (S3) may be associated with Constrictive Pericarditis Constrictive pericarditis is characterixstically associated with pericardial knock which is a distinct form of third heart sound (S3) `Pericardial knock is S3 that occurs earlier (0.1 to 0.12 after A2) and is higher pitched than normal. Its presence depends upon the restrictive effects of the adherent pericardium which halts diastolic filling abruptly'